The function of a gene is determined by which of the following?
1. Southern blot
2. Western blot
3. Innoculating in transgenic mice
4. Inserting or knocking out gene

Correct answer: 4. Inserting or knocking out gene

Explanation: By inserting or knocking out genes, the importance of specific genes on the genesis of disease and its effects on complex biological pathways in various tissues can be observed. Ref: Nutrition and Metabolism edited by Susan A. Lanham-New, Ian A. Macdonald, Helen M. Roche, 2011, Chapter Molecular aspects of nutrition